Teratogenicity results when drugs are given during
1. First trimester
2. Second trimester
3. Third trimester
4. Soon after birth

Correct answer: 1. First trimester